Select the most appropriate ending for the following sentence. The median nerve:,
1. Arises from both the posterior and medial cords of the brachial plexus.
2. Passes from the medial to the lateral side of the brachial artery in the arm.
3. Gives no muscular branches in the arm.
4. Enters the forearm by passing between the two heads of flexor carpi ulnaris.

Correct answer: 3. Gives no muscular branches in the arm.

Explanation: c. The only branch the median nerve gives in the arm is a branch to the elbow joint. Explanationsa. It arises from the medial and lateral cords of the brachial plexus. The posterior cord gives rise to the radial nerve. b. Passes from the lateral to medial side of the brachial artery in the arm. The commencement of the nerve is lateral to the artery. passes in front of the brachial artery and descends to lie medial to it at the elbow. d. It enters the forearm by passing between the two heads of pronator teres.